According to Gutman's classification periapical surgery includes all except:
1. Periapical curettage
2. Root end resection.
3. Root end preparation.
4. Perforation repair.

Correct answer: 4. Perforation repair.

Explanation: GOT MAN’S CLASSIFICATION
1. Fistulative surgery

I & D
Cortical Trephination
Decompression Pracedure

2. ieri Apical Surgery

Periapical curellage
Root end Resection
Root end Preparation
Root end Filling

3. Corrective Surgery

Performation Repairs

Pathological Performance Repair
Iatrogenic Performance Repair

Root Reseation

Radisection/ He

Hemi section – Bicuspidization
Intertional Replaniation.